Which one of the following local anaesthetic is highly cardiotoxic:
1. Lignocaine
2. Procaine
3. Mepivacaine
4. Bupivacaine

Correct answer: 4. Bupivacaine

Explanation: D i.e. Bupivacaine